Dextromethorphan should not be given with drug?
1. SSRIs
2. MAO inhibitors
3. Atropine
4. Parcetamol

Correct answer: 2. MAO inhibitors

Explanation: Ans. is'b'i.e., MAO inhibitors[Rl Katzung L2nle p. 559, KDT /e p. 213,215)The antitussive dextromethorphan should also be avoided by patients taking one of the monoamine oxidase B inhibitors; indeed, it is wise to advise patients to avoid all over-the-counter could preparations.